Neuropathogenic amoeba are -a) Acanthamoebab) Ent. colic) Naegleriad) Ent. Histolytica
1. a
2. ac
3. ad
4. b

Correct answer: 2. ac

Explanation: Neuropathogenic amoebae are  -

Naegleria fowleri causes primary amebic meningoencephalitis.
Acanthamaeba causes granulomatous amebic encephalitis
Balamuthia mandrillaris causes amebic meningoencephalitis.